Which of the following syndrome is associated with Fallopian tube dysmotility?
1. Noonan syndrome
2. Turner syndrome
3. Kartagener syndrome
4. Marfan syndrome

Correct answer: 3. Kartagener syndrome

Explanation: Immotile cilia syndrome causes a defect in the action of the cilia lining the respiratory tract, fallopian tube and also flagella of sperm. It can cause chronic respiratory diseases, infertility in females and sterility in males. In the fallopian tube, due to the immobility of the cilia they are unable to beat effectively and therefore cannot normally transport ovum through the female reproductive tract. A combination of chronic sinusitis, bronchiectasis and situs inversus is known as Kartagener syndrome. Its is an autosomal recessively inherited disease. Ref: Histology Flash Cards with Clinical Correlations By Dongmei Cui page 18-5.